Testamentary capacity refers to:
1. Ability to make a valid will
2. Criminal liability
3. Right to vote
4. Ability to give evidence

Correct answer: 1. Ability to make a valid will

Explanation: Ans. Ability to make a valid will